Graft is not taken up on the following-
1. Fat
2. Muscle
3. Deep fascia
4. Skull bone

Correct answer: 4. Skull bone